Which of the following defines Pentalogy of Fallot?
1. TOF with PDA
2. TOF with ASD
3. TOF with COA
4. TOF with Polysplenia

Correct answer: 2. TOF with ASD

Explanation: Pentalogy of Fallot is a rare form of cyanotic congenital heart disease, characterized by an association of atrial septal defect (ASD) with tetralogy of Fallot (TOF) . Ref - Harrison 20th edition pg 1834-36 , pubmed.com